Not true about Narcolepsy is
1. Cataplexy
2. Sleep architecture normal
3. Loss of muscle tone
4. Hallucination

Correct answer: 2. Sleep architecture normal

Explanation: Narcolepsy is neither a typs of epilepsy nor a psychogenic disturbance. It is an abnormality of the sleep mechanisms specifically, REM inhibiting mechanisms. Ref: Synopsis of Psychiatry, 11e, pg 547.